False about innate immunnity
1. Immune response occurs in minutes
2. Immunological memory responses are absent
3. Depends on species, Race, individual
4. Prior exposure to antigen is required

Correct answer: 4. Prior exposure to antigen is required

Explanation: Prior exposure to antigen is not required.